Vitamin K dependent clotting factors are :
1. Factor IX and X
2. Factor IV
3. Factor XII
4. Factor I

Correct answer: 1. Factor IX and X